Acrodermatitis enteropathica is due to deficiency of:
1. Iodine
2. Zinc
3. Copper
4. Iron

Correct answer: 2. Zinc

Explanation: Ans: B i.e. Zinc Acrodermatitis enteropathica is a rare inherited metabolic disease of zinc deficiency caused by a defect in the absorption in the absorption of zinc from the intestine.